Which part of collecting duct is functionally similar to the later segment of distal tubule?
1. Cortical part of collecting duct.
2. Thin ascending part of collecting duct.
3. Thick ascending part of collecting duct.
4. Medullary part collecting duct.

Correct answer: 1. Cortical part of collecting duct.

Explanation: Cortical part of collecting duct.REABSORPTION IN LATE DISTAL TUBULE:Functionally similar to cortical collecting tubule.Facultative type:Reabsorption of solutes/water depends on water/electrolyte balance.Hence, "Facultative type" of absorption.Cells involved in reabsopion:Principal (P) cells.Intercalated (I) cells